The specific gravity of a transudate is:
1. Below 1.010
2. Below 1.012
3. Between 1.012 and 1.020
4. Above 1.020

Correct answer: 2. Below 1.012